Most serious complication of paget's disease is:
1. Osteosarcoma.
2. Osteoma.
3. Ewing sarcoma.
4. All of the above.

Correct answer: 1. Osteosarcoma.

Explanation: Development of osteosarcoma is the most serious complication of paget's disease or osteitis deformans.